The period of normalcy is seen between two psychotic episodes. The diagnosis is
1. Schizophrenia
2. Manic depressive psychosis (MDP)
3. Alcoholism
4. Depression

Correct answer: 2. Manic depressive psychosis (MDP)

Explanation: Bipolar mood disorder earlier known as manic-depressive psychosis is characterised by recurrent episodes of mania and depression in the same patient at different times. These episodes can occur in any sequence. (Ref: a short textbook of psychiatry, Niraj Ahuja,7th edition, pg no73)